Mucopolysaccharide hyaluronic acid is present in –
1. Vitreous humor
2. Cornea
3. Blood vessels
4. Lens

Correct answer: 1. Vitreous humor